The commonest cause of Intracerebral Bleed is:
1. Thrombocytopenia
2. Diabetes
3. Hypertension
4. Berry aneurysm

Correct answer: 3. Hypertension

Explanation: Answer is C (Hypertension): An intracerebral bleed (parenchymal) invariably results from rupture of small perforating arteries or arterioles as a result of Hypertension.